Father of Physiology is?
1. Herophilus of Chalcedon
2. Claude Bernard
3. Louis Pasteur
4. Robin Virchow.

Correct answer: 2. Claude Bernard

Explanation: Ans. B. Claude BernardFather of AnatomyHerophilus of ChalcedonFather of PhysiologyClaude BernardFather of MicrobiologyLouis PasteurFather of BacteriologySir Robert KochFather of ChemotherapyPaul EhrlichFather of PharmacologyOswald SchmiedebergFather of Modern PathologyRudolf VirchowFather of Forensic MedicineBernard Spills buryFather of Modern EpidemiologyJohn SnowFather of Occupational HealthRamazziniFather of Modern MedicineHippocratesFather of Indian MedicineCharakaFather of American MedicineWilliam OslerFather of Modern SurgeryAmbroise PareFather of Indian SurgerySushrutaFather of Antiseptic SurgeryJoseph ListerFather of Modern Inguinal Hernia SurgeryEdoardoBassiniFather of Thyroid SurgeryEmil KocherFather of GeneticsGregor MendelFather of Modern Human GeneticsDr Victor A. McKusickFather of PsychoanalysisSigmund FreudFather of Porphyrin chemistryHans FischerFather of PTCAAndreas GruentzigFather of Modern PsychiatryJohann WeyersFather of American PsychiatryBenjamin RushFather of BiologyAristotleFather of Diagnostic ImagingRoentgen